Not seen in Korsakoff's syndrome
1. Clear consciousness
2. Inability to learn new things
3. Hallucinations
4. Confabulation

Correct answer: 3. Hallucinations

Explanation: As Korsakoff's psychosis often follows Wernicke's encephalopathy; these are together referred to as Wernicke-Korsakoff syndrome. Clinically, Korsakoff's psychosis presents as an organic amnestic syndrome, characterised by gross memory disturbances, with confabulation. Insight is often impaired. The neuropathological lesion isusually wide-spread, but the most consistent changes are seen in bilateral dorsomedial nuclei of thalamus and mammillary bodies. The changes are also seen in periventricular and periaqueductal grey matter, cerebellum and parts of the brainstem. The underlying cause is believed to be usually severe untreated thiamine deficiency secondary to chronic alcohol use. Ref: A Short Textbook of Psychiatry, Niraj Ahuja, 7th Edition, pg. no.38